Pearl Index is expressed
1. Per 10 woman years
2. Per 1000 woman years
3. Per 100 woman years
4. Per 50 woman years

Correct answer: 3. Per 100 woman years